SCID is due to deficiency of
1. Adenosine deaminase deficiency
2. JAK 3 mutation
3. Recombinase - activating genes mutation
4. Any of the above

Correct answer: 4. Any of the above

Explanation: All of the above enzyme deficiencies cause SCID.
Mutation in cytokine receptors - M/c type defect.